HCG is a tumor marker for :
1. Choriocarcinoma
2. Colon carcinoma
3. Serous cystadenoma
4. Teratoma

Correct answer: 1. Choriocarcinoma

Explanation: Choriocarcinoma